A patient on atracurium develops seizures due to accumulation of ?
1. Didanosine
2. Laudanosine
3. Methylated Atracurium
4. Sulfated Atracurium

Correct answer: 2. Laudanosine

Explanation: Ans. is `b' i.e., Laudanosine